Method of testing resistance to drugs in TB are all EXPECT:
1. Radiometric broth method
2. Molecular method
3. Disk diffusion method
4. PCR

Correct answer: 3. Disk diffusion method

Explanation: ANSWER: (C) Disk diffusion methodREF: Jawetz's, Melnick, 8i Adelbergs Medical Microbiology, 24 " edition chapter 24. Mycobacteria, Textbook of microbiology Anantnarayan 6th edition page 331Antitubercular Susceptibility Tests:Antitubercular drug susceptibility methods used are:Resistance ratio methodProportion methodAbsolute concentration methodMolecular methodRadiometric broth methodHigh pressure liquid chromatographyPCR